Shield ulcer is seen in -
1. Phylectenular conjunctivitis
2. Spring Cattarrh
3. Mycotic corneal ulcer
4. Herpetic ulcer

Correct answer: 2. Spring Cattarrh

Explanation: Important signs of spring catarrh Conjunctival Corneal Palpebral Bulbar $? Papillary hypertrophy into polygonal $? Gelatinous thickening around $? Punctate epithelial keratitis papilla limbus $? Ulcerative vernal kratitis : shallow $? Giant papilla (Cauliflower $? Ducky red triangular congestion $? Pseudogerontoson : Characterized by a classical "cupid's bow" outline. excrescence) Ref: Parson's 22nd/e p.180-181 & 21st/e p.178; Khurana 7th/e p.81 & 4th/e p.74,75